Bilateral facial palsy is seen in:
1. Myasthenia gravis
2. Guillain Barre syndrome
3. Muscular dystrophy
4. Duchenne muscular dystrophy

Correct answer: 2. Guillain Barre syndrome

Explanation: Ans. B i.e. Guillain Barre syndrome Guillain Barre syndrome Ascending type of motor paralysis, Arreflexia, Flaccidity, Albumino-cytological dissociation in CSF Treatment: - Plasmapheresis and - Immunoglobulin